The Transplantation of Human Organs Act 1994 stipulates all of the following, EXCEPT:
1. Bans buying and selling of organs
2. Live donation by an unrelated donor for payment is permitted
3. Live donor has to be a near relative or by the reason of affection
4. Organ donation after death is subject to competent consent before death

Correct answer: 2. Live donation by an unrelated donor for payment is permitted

Explanation: Central Government Act Section 9 in The Transplantation Of Human Organs Act, 1994 9. Restrictions on removal and transplantation of human organs: (1) Save as otherwise provided in subsection (3), no human organ removed from the body of a donor before his death shall be transplanted into a recipient unless the donor is a near relative of the recipient. (2) Where any donor authorises the removal of any of his human organs after his death under subsection (2) of section 3 or any person competent or empowered to give authority for the removal of any human organ from the body of any deceased person authorises such removal, the human organ may be removed and transplanted into the body of any recipient who may be in need of such human organ. (3) If any donor authorises the removal of any of his human organs before his death under subsection (1) of section 3 for transplantation into the body of such recipient, not being a near relative, as is specified by the donor by reason of affection The Transplantation of Human Organs Act 1994 bans the buying and selling of organs, but clause 9 of chapter II permits live donation by an unrelated donor "by reason of affection or attachment towards the recipient." India is a world leader in the commercial kidney trade. An estimated 3200 transplants put India second only to the United States (with 6435) in 2006, but national data are not reliable, and estimates range from 3000 to 6000 live donor transplant operations (commercial and non-commercial) a year. Ref: Government of India. The Transplantation of Human Organs Act, 1994. Act No 42 of 1994 dated 8 July, 1994. Amended 28 September 2011.